Pericardial effusion is best diagnosed by:
1. USG
2. Angiography
3. Gallium scan
4. Echocardiography

Correct answer: 4. Echocardiography

Explanation: Ans. D i.e. Echocardiography